Which of the following drug has longest half life ?
1. Amiodarone
2. Quinidine
3. Diltiazern
4. Procainamide

Correct answer: 1. Amiodarone